Which lymphnodes drain the cervix?
1. Iliac lymph nodes
2. Para aortic lymph nodes
3. Superficial inguinal lymph nodes
4. Deep inguinal lymph nodes

Correct answer: 1. Iliac lymph nodes

Explanation: Ans. is 'a' i.e., Iliac lymph nodes Lymphatic drainage of uterus & cervix1) Cervix (lower lymphatics) Lymphatics drain into external iliac, internal iliac, and sacral nodes.2) Lower part of body (middle lymphatics) Lymphatics drain into the external iliac nodes.3) Fundus and upper part of body (upper lymphatics) Lymphatics drain mainly into para-aortic nodes and a few lymphatics from the uterine cornu accompany the round ligaments to reach the superficial inguinal nodes.